Which of the following Doppler findings in IUGR is associated with worst prognosis?
1. Dicrotic notch
2. Reversal of diastolic flow
3. Absence of diastolic flow
4. Absence of systolic flow

Correct answer: 2. Reversal of diastolic flow

Explanation: Doppler screening is done in anatomically normal baby's in which a growth retardation is detected. Normally the diastolic flow increases as pregnancy progresses. Reduced or absent or reversed diastolic flow in the umbilical artery indicates fetal jeopardy and poor perinatal outcome. Doppler velocimetry findings in IUGR are elevated uterine artery systolic/diastolic ratio > 2.6 and or presence of diastolic notch. Ref: Textbook of Obstetrics By D. C Dutta, 6th Edition, Page 463.